Kuppuswamy Scale for socio-economic status is based on
1. Income of the family, No.of livestocks, No.of acres of farm land
2. Income of the family, No.of members in the family, Education of head of family
3. No. of vehicles in family, Occupation of head of family, Education of head of family
4. Income, Occupation of head of family, Education of head of family

Correct answer: 4. Income, Occupation of head of family, Education of head of family

Explanation: Modified Kuppuswamy scale: For socioeconomic status Is used for Urban families Is based on 3 parameters Education status of head of family Occupation of head of family Income of the family per month Scoring: Each component is given a weighted score and summed up Socio-economic classes based on Scores: Score Socio-economic class 26-29 I 16-25 II 11-15 III 05-10 IV <05 V Udai peek scale: Is for Rural families Is not dependent on income Ref: Textbook of community Medicine by Sunderlal, 2nd edition Pgno: 17